Pancreatic cholera is characterized by all except -
1. Hypochlorhydria
2. Hyokalemia
3. Glucose intolerance
4. Hypocalcemia

Correct answer: 4. Hypocalcemia